The touch taste smell method of behaviour management
is usually used in children who are
1. Deaf
2. Blind
3. Suffering from cerebral palsy
4. Suffering from Down's syndrome

Correct answer: 2. Blind